More than 80% of gall stones is composed of
1. Bile pigments
2. Cholesterol
3. Calcium salts
4. Phospolipids

Correct answer: 2. Cholesterol

Explanation: Ans. (b) CholesterolRef: Sabiston 20th edition Page 1491* Major structure present in Gall stones is Cholesterol.* Pigment stones are given the name when Cholesterol is present in amount of <30%.* Hence most common stone in Gallbladder is Mixed stone